In cranial synostosis scaphyocephaly there is premature closure of which suture?
1. Sagittal suture
2. Coronal suture
3. Larndid suture
4. All above

Correct answer: 1. Sagittal suture

Explanation: Sagittal craniosynostosis, or scaphocephaly, occurs when certain bones in a child's skull fuse prematurely. At birth, a child's skull is made up of several separate bones with growth plates (also called 'sutures') between them. Because the skull is not a solid piece of bone yet, the brain can grow and expand in size Reference Harrison20th edition pg 2776